Pulmonary embolism is caused due to
1. Deep vein thrombosis of leg
2. Increase in pulmonary tension
3. Fracture of pelvic region
4. Heart disease

Correct answer: 1. Deep vein thrombosis of leg